All the following represent risk factors associated with pelvic inflammatory disease except
1. Recent new sexual partner
2. Doughing
3. Low socioeconomic status
4. Age 30 - 39 years

Correct answer: 4. Age 30 - 39 years

Explanation: Ans is 'd' i.e., Age 30 - 39 yearRisk factors associated with pelvic inflammatory disease are :DouchingSingle statusSubstance abuseMultiple sexual partnersLower socio - economic statusRecent new sexual partnerYoung age 10 - 19 yearsOther sexually transmitted infectionsSexual partner with urethritis or gonorrheaPrevious diagnosis of pelvic inflammatory diseaseNot using mechanical or chemical contraceptive barriersEndocervical testing positive for N. gonorrhea or C. trachomatis